Genetic factors, Age, Gender & Socioeconomic status are also known as
1. Risk Indicators
2. Risk Determinants
3. Risk Markers
4. Risk Factors

Correct answer: 2. Risk Determinants